According to Act 2000, Juvenile is a boy and girl respectively less than -
1. 18 and 16
2. 21 and 18
3. 16 and 14
4. 18 and 18

Correct answer: 4. 18 and 18

Explanation: Ans. is 'd' i.e., 18 and 18 * According to the Juvenile Justice Act 2000 "Juvenile" means a person (boy or girl) who has not completed eighteenth years of age.* Juvenile courts are special criminal courts which try offences committed by juveniles, i.e. below 18 years of age. (Note - offence means any act or omission made punishable by any law: section 2(n) CrPC and section 40 IPC).